In which of the following is the protein, transducin found?
1. Glomerulus
2. Retina
3. Skeletal muscle
4. Adrenal medulla

Correct answer: 2. Retina

Explanation: Transducin is a G protein that mediates the visual signal between the photoactivated visual pigment, rhodopsin, and the downstream effector enzyme cGMP phosphodiesterase. Transducin has two functional subunits alpha and beta gamma. Phosducin: is a protein which interacts with beta gamma subunit of transducin and reduces its membrane affinity. Arrestin: is a protein which binds to and inactivates photoactivated rhodopsin. Arrestin binding results in termination of transducin activation. Recoverin: It is a regulatory protein which is thought to regulate the speed at which arrestin can bind to photoactivated rhodopsin. Ref: The Retina and its Disorders edited by Joseph Besharse, page 412